A 24-year-old woman has had episodes of numbness and tingling in both hands for 5 months. The problem is worse near the end of the day and makes it difficult for her to use the computer keyboard. The thumb and first two fingers are most affected. There is no pain or swelling, and she does not recall any trauma to the upper extremities. On physical examination, she has a positive Tinel sign and decreased sensation to light touch and pinprick over the palmar surface of both hands in the distribution of the first three digits. Thenar muscle atrophy is present. This neuropathy is most likely due to which of the following underlying causes?
1. Acute intermittent porphyria
2. Diabetes mellitus, type 2
3. Entrapment with compression
4. Systemic lupus erythematosus

Correct answer: 3. Entrapment with compression

Explanation: Carpal tunnel syndrome is a form of compression neuropathy that results from entrapment of the median nerve beneath the flexor retinaculum at the wrist. Women are more commonly affected than men, and the problem is often bilateral. The role of excessive repetitive use of the wrist in causation has been debated, but lifestyle modifications and ergonomics can be employed as initial conservative therapy. Conditions such as hypothyroidism, amyloidosis, and edema with pregnancy also diminish the space in the carpal tunnel. Acute intermittent porphyria can lead to a hereditary form of motor and sensory neuropathy. Diabetes mellitus leads to a more widespread symmetric distal sensorimotor neuropathy. Systemic lupus erythematosus can produce arthralgias and myalgias, but not typically focal nerve injury. Infection with varicella-zoster virus produces a painful neuropathy in a dermatomal distribution pattern.